Normal therapeutic level of Lithium level is
1. 0.5 to 0.7 mEq/litre
2. 0.7 to 1.1 mEq/litre
3. 0.1 to 0.3 mEq/litre
4. 1.5 to 2 mEq/litre

Correct answer: 2. 0.7 to 1.1 mEq/litre

Explanation: Blood Lithium Levels (in treatment of bipolar disorder)* Therapeutic levels = 0.6-1.2 mEq/L (For the treatment of acute mania)* Prophylactic levels = 0.6-1.0 mEq/L (For relapse prevention in bipolar disorder)* Toxic lithium levels > 2.0 mEq/L Ref: A Short Textbook of Psychiatry, Niraj Ahuja, 7th Edition, pg. no.190